Maximum density of microfilariasis in blood is reported to be between -
1. 9 pm to 11 pm
2. 10 pm to 2 am
3. 8 pm to 10 pm
4. 2 am to 5 am

Correct answer: 2. 10 pm to 2 am

Explanation: Filariasis:- Causative agent- W.bancrofti, B.malayi and B.timori. Man is definitive host. Mosquito is the intermediate host. Infective stage- microfilaria. The maximum density of microfilaria in blood is reported between 10 pm-2am. Treatment- DEC. Filarial control in community. {Reference: park's textbook of preventive and social medicine, 23rd edition, pg no.274}